A coronally positioned pedicle graft is used when a single tooth exhibits gingival recession and
1. Bleeding
2. Pus discharge
3. Irreversible pulpitis
4. Sensitivity

Correct answer: 4. Sensitivity